Myasthenia gravis is associated with-
1. Antibodies against Ach receptors
2. Decreased myosin
3. Absent troponin C
4. Increased myoneural junction transmission

Correct answer: 1. Antibodies against Ach receptors

Explanation: *MG is an autoimmune disease most commonly caused by antibodies to Ach receptors in the post junctional membrane of neuromuscular junction Ref Harrison20th edition pg 2445